Most characteristic anomaly in infant of a diabetic mother:
1. Caudal regression
2. VSD
3. Spina bifida
4. Anencephaly

Correct answer: 1. Caudal regression

Explanation: Caudal regression